The highest density of glutamate receptors in basal ganglia are found in
1. Substantia nigra
2. Globus pallidus interna
3. Globus pallidus externa
4. Putamen

Correct answer: 4. Putamen

Explanation: D i.e. Putamen